Natural method of contraception is:
1. Rhythm method
2. Coitus interruptus
3. Breast feeding
4. All of the above

Correct answer: 4. All of the above

Explanation: Ans. D: All of the above Natural methods of contraception are: Abstinence Refraining from penetrative sex provides 100% protection from pregnancy, and offers effective prevention of transmission of sexually transmitted infections as well. Withdrawal or Coitus interruptus The withdrawal method of family planning is unlike other natural methods in that it is male-controlled. Calendar methods - based on calculations of cycle length In calendar rhythm methods, a woman makes an estimate of the days she is fertile based on past menstrual cycle length. This involves setting the days of avoidance of unprotected intercourse. Methods based on symptoms and signs - Ovulation Method, Billings Method, Cervical Mucus Method These methods are based on the changes in cervical secretions due to the effects of circulating levels of estrogen and progesterone - Basal Body Temperature (BBT) Method Due to the actions of progesterone on the hypothalamus, a woman's body temperature rises slightly after she ovulates (0.2 to 0.5 degrees C) and remains elevated until the end of the cycle, until menstruation. Women who use this method must chart their temperature every day, immediately after waking up and before getting out of bed or drinking any liquids. - Sympto-Thermal Method - This method combines several techniques to predict ovulation. It typically includes monitoring and charting cervical mucus and position and temperature changes on a daily basis and may include other signs of ovulation, such as breast tenderness, back pain, abdominal pain or "heaviness," or light intermenstrual bleeding. Lactational Amenorrhea Method (LAM) Breastfeeding to achieve contraception, called the lactational amenorrhea method, or LAM, is more than 98% effective during the first 6 months following delivery.